Hyperacute rejection is due to -
1. Preformed antibodies
2. Cytotoxic T-lymphocyte medicated injury
3. Circulating macrophage mediated injury
4. Endothelitis caused by donor antibodies

Correct answer: 1. Preformed antibodies

Explanation: Ans. is 'a' i.e., Preformed antibodies